Weight gain is seen in all, except -
1. Phaeochromocytoma
2. Insulinoma
3. Myxoedema
4. Cushing's disease

Correct answer: 1. Phaeochromocytoma